True about BCR-ABL 'trials' are all except:
1. P190 has an indolent course
2. P190 is a bad prognostic factor
3. P230 is positive in chronic neutrophilic leukemia
4. P230 has an indolent course

Correct answer: 1. P190 has an indolent course

Explanation: BCR- ABL fusion is responsible for form action of Tyrosine kinase enzyme. Variant of Tyrosine kinase:- (1) 190 k Da:- seen in B-ALL (2) 210 KDa:- seen in CML (3) 230 KDa:- seen in CNL (chronic neutrophilic leukemia ) Aggressiveness of cancer based on size of Tyrosine kinase :- 190 >>>210>>230 KDa. 190 KDa seen in B-ALL :- most aggressive course B-ALL with translocation (9:22) has bad prognosis 230 KDa :- least aggressive course (indolent course)